Inheritance of Gardner syndrome is
1. Autosomal recessive
2. Autosomal dominant
3. X linked
4. None of the above

Correct answer: 2. Autosomal dominant

Explanation: Gard*ner syn*drome Multiple polyposes predisposing to carcinoma of the colon; also multiple tumors, osteomas of the skull, epidermoid cysts, and fibromas; autosomal dominant inheritance, caused by mutation in the adenomatous polyposis coli gene (APC) on chromosome 5q. This disorder is allelic to familial adenomatous polyposisRef: Harrison 'so manual of Medicine 19th edition Page no: 325